True regarding anxiety is all except: (Repeat)
1. Adaptive response
2. Alert signal
3. Autonomic hyperactivity
4. Always pathological

Correct answer: 4. Always pathological

Explanation: Ans: D (Always pathological) Ref.: Synopsis of Psychiatry, Kaplan & Sadock, 10th editionExplanation:Anxiety is a state of mind characterized by alertness, in response to any threatening stimulus and it is an adaptive response.It has cognitive symptoms (inattention - forgetfulness)Emotional symptoms (feeling on the edge)Autonomic symptoms (hyper-sympathetic state)Physical symptoms (muscle tension).While anxiety is due to an internal, vague, distant stimuli, fear is a response to a stimulus which is external, well-defined and immediate.- Also Refer Psychiatry question explanation in 2011 paper.